Child presents with recurrent abdominal pain and bilious vomiting, Condition was diagnosed by barium follow through. Surgery was done, mesentric widening, appendicectomy, cutting the Ladd's band. What is the diagnosis?
1. Recurrent Caecal volvulus
2. Mal rotation
3. Recurrent appendicitis
4. Stricture TB

Correct answer: 2. Mal rotation

Explanation: malrotation and its associated anomalies includes the following..Associated Anomalies (20%) * Congenital diaphragmatic hernia of Bochdalek. * Prune belly syndrome. * Duodenal atresia. * Oesophageal atresia. Presentations * Acute/recurrent/subacute intestinal obstruction. * Midgut volvulus (30%), (usually clockwise rotation) with features of strangulation, perforation, peritonitis. * Shock, septicaemia, passage of dark blood per rectum, oedema and erythema of anterior abdominal wall. * In children - failure to thrive, recurrent abdominal, cyclical vomiting, constipation and diarrhoea. ref:SRB's manual of surgery ,ed 3,pg no 861